Most common cause of dysentery is –
1. Shigella dysentrie
2. E. Histolytica
3. Salmonella
4. Compylobacter

Correct answer: 1. Shigella dysentrie

Explanation: Shigella accounts for majority of cases of dysentry.